The most common complication of an ovarian tumor is :
1. Torsion
2. Hemorrhage
3. Infection
4. Hyaline change

Correct answer: 1. Torsion

Explanation: Torsion